Wax pattern is ideally invested immediately to decrease the dimensional changes caused by:
1. Decrease flow
2. Continuous expansion
3. Relaxation of the internal stresses
4. Water loss

Correct answer: 3. Relaxation of the internal stresses